Pelvic exenteration is known as
1. Miles Operation
2. Lloyds operation
3. Finch operation
4. Brunschwig operation

Correct answer: 4. Brunschwig operation

Explanation: Pelvic exenteration (or pelvic evisceration) or Brunschwig's operation is a radical surgical treatment that removes all organs from a person's pelvic cavity - rectum, anus, urinary bladder, urethra, all the lymph nodes, fat, fascia, uterus, vagina- with colostomy and urinary diversion. It is performed for many types of very advanced or recurrent cancers including genitourinary and colorectal cancers.Miles and Lloyd - Davies operations are types of abdominoperineal resection wherein sigmoid , descending colon and upper rectum are resected per abdominally and anal canal witg perianal and perirectal tissues are dissected per anally. Miles - abdomen first, perineum later; Lloyd - Davies- synchronised ( together or combined) Reference : page 958-59 SRB's manual of surgery 5th edition